A child was fed on staple diet of maize for a long time. Which of the following vitamin may get deficient in his body?
1. Vitamin B1
2. Vitamin B12
3. Niacin
4. Pyridoxine

Correct answer: 3. Niacin

Explanation: In maize eating people, Niacin deficiency is seen leading to pellagra. Maize is a deficient in tryptophan and lysine. Tryptophan is required for the synthesis of Niacin (B3). 60 mg of tryptophan produces 1mg of niacin. Pellagra-The main 3 Ds of pellagra include- Diarrhoea Dermatitis Dementia